Autophagic vacuoles fuse with -
1. Golgi complex
2. ER
3. Lysosome
4. Mitocondria

Correct answer: 3. Lysosome

Explanation: Ans. is 'c' i.e., Lysosome o Autophagy is the process by which cells sequester and degrade their own cytoplasmic organelles,o During the process, autophagic vacuole is formed, which is a bilayer vacule containing unnecessary or dysfunctional organelle.o Autophagic vacule fuses with lysosome to form autophagosome (autophagolysosome).o Then, hydrolytic enzymes of lysosome degrade the organelle of autophagic vacuole.